A patient with spontaneous abortion came with history of amenorrhea and her FSH is 6 IU/mL, Diagnosis is
1. Ovarian failure
2. Uterine Synechiae
3. Pregnancy
4. Pituitary failure

Correct answer: 2. Uterine Synechiae

Explanation: Asherman's Syndrome Results from intrauterine adhesions that obstruct or obliterate the uterine cavity, as a consequence of trauma There is a formation of adhesion following post abortal and puerperal curettage and diagnostic curettage in AUB Menstrual abnormalities include dysmenorrhea, hypomenorrhea, oligomenorrhea and amenorrhea May present with Infertilty and Recurrent Pregnnacy Loss Combined Estrogen and Progesterone challenge test will be negative Hysterosalpingography shows honeycomb appearance Operative hysteroscopy is the primary method for treatment of intrauterine adhesions that may be lysed by scissors, electrodissection, or with a laser Reference: Clinical Endocrinologic Gynecology and Infertility; Eigth Edition; Chapter 11